The following is an important feature of psoriasis:
1. Crusting
2. Silvery Scaling
3. Coarse bleeding
4. Erythematous macules

Correct answer: 2. Silvery Scaling

Explanation: Ans. B: Silvery ScalingPsoriasis is a chronic dermatosis characterized by an unpredictable course of remissions and relapses and presence at typical sites of papules and plaques which are:Well definedErythematousSurmounted with large, silvery, loose scales.